True about lichen planus-
1. Basal cell degeneration
2. Colloid bodies seen
3. Epidermal hyperplasia in chronic cases
4. All of the above

Correct answer: 4. All of the above

Explanation: A i.e. Basal cell degeneration; B i.e. Colloid bodies seen; C i.e. Epidermal hyperplasia in chronic cases